Widmark's formula is used for measurement of blood levels of:
1. Benzodiazepines
2. Barbiturates
3. Alcohol
4. Cocaine

Correct answer: 3. Alcohol

Explanation: Ans. Alcohol